Bacitracin acts on -
1. Cell Wall
2. Cell Membrane
3. Nucleic Acid
4. Ribosome

Correct answer: 1. Cell Wall

Explanation: Ans. is 'a' i.e., Cell wall Bacitracin acts by inhibiting cell wall synthesis. o Bacitracin is a polypeptide antibiotic. o Other polypeptide antibiotics (Polymyxin B, colistin and tyrothricin) act on cell membrane.